Pronator teres syndrome is related to which nerve ?
1. Radial
2. Median
3. Ulnar
4. Axillary

Correct answer: 2. Median

Explanation: Ans. is 'b' i.e., Median